Type I Collagen is not present in:
1. Bone
2. Hyaline Cartilage
3. Ligament
4. Aponeurosis

Correct answer: 2. Hyaline Cartilage

Explanation: Ans. B. Hyaline cartilageType I collagen is present in noncartilaginous tissues like bone, tendon, aponeurosis etcBut Type II collagen is present in Cartilage & Vitreous humour